Carcinoma responding maximally to radiotherapy is:
1. Squamous cell carcinoma
2. Adenocarcinoma
3. Small cell carcinoma
4. None of the above

Correct answer: 3. Small cell carcinoma

Explanation: Ans. C: Small cell carcinoma Small cell lung cancer (SCLC) is considered distinct from other lung cancer, called non-small cell lung cancer (NSCLCs), because of their clinical and biologic characteristics. Small cell lung cancer exhibits aggressive behavior, with rapid growth, early spread to distant sites, exquisite sensitivity to chemotherapy and radiation, and frequent association with distinct paraneoplastic syndromes. Surgery usually plays no role in its management